USHA  workers are proposed to work for population of
1. 1000-2500
2. 2500-3000
3. 3000-4500
4. 5000-10,000

Correct answer: 1. 1000-2500

Explanation: Health personnel 


Norm suggested




Doctor 


1 per 1000




Nurse


3 per 1 doctor 




ASHA


2 per 1000




Health workers male and female 


Plain area - 1 per 5000
Willy area - 1 per 3000




Anganwadi worker


Plain area - 1 per 400-800
Hilly area - 1 per 300-800